Marker for pancreatic non-functional neuro endocrine tumor (PNET) is?
1. Chromogranin-A
2. CD100
3. CEA
4. PSA

Correct answer: 1. Chromogranin-A

Explanation: Ans is 'a' i.e. Chromogranin-A o Chromogranin-A (CgA) is a glycoprotein used commonly as a tumor marker in histopathology but also has elevated circulating levels in patients with both functional and non-functional PNETs.o Other markers for PNETs - pancreatic polypeptide (PPP), pancreastatin, and neuron-specific enolase (NSE)